Conjugate vaccines are available for the prevention of invasive disease caused by all of the following except - rpt
1. H influenzae
2. Strep pneumoniae
3. N. Meningitidis (group C)
4. N. Meningitidis (group B)

Correct answer: 4. N. Meningitidis (group B)

Explanation: Question repeated